Which of them is TRUE about Na+-K+ pump:
1. K+ is pumped against the gradient.
2. 2K+ are exchanged with 5Na+
3. Hypercalcemia causes arrest in Na+ K+ pump.
4. Increase in intracellular Na+ increases action potential.

Correct answer: 1. K+ is pumped against the gradient.

Explanation: Ans. is 'a' i.e. K+ is pumped against the gradient Na+-K+ pump or Na+-K+ ATPase, extrude 3 Na+ from the cell and take 2 K+ into the cell. *Thus its coupling ratio is 3:2.It pumps both Na+ & K+ against their concentration gradients by utilizing energy from the hydrolysis of ATRBecause of this differences in the charges moved in and out, it is an electrogenic pump. *Increase in intracellular Na+, decrease the height of action potential.